Bridge therapy is employed in
1. Mononeuritis multiplex
2. Rheumatoid arthritis
3. Osteoarthritis
4. Caplan syndrome

Correct answer: 2. Rheumatoid arthritis

Explanation: In RA , acute symptoms is controlled with steroids , followed by treatment with DMARD. This is called bridge therapy